Causes of floaters in DM is:.
1. Vitreous hemorrhage
2. Vitreal detachment
3. Maculopathy
4. Infarction

Correct answer: 1. Vitreous hemorrhage

Explanation: A i.e. Vitreous hemorrhage